Primary amoebic encephalitis is caused by:
1. Nageleria fowleri
2. Acanthameba spp.
3. Entamoeba hartmanni
4. Balmuthia mandrillaris

Correct answer: 1. Nageleria fowleri

Explanation: Ref: Parija SC. Textbook of Medical Parasitology. 2nd Ed. London: John Wiley & Sons; 2004.Explanation:Naeglaria fowleri causes Primary Amebic Meni ngoenceph alitis (PAM).Infection is acquired by swimming or diving in warm water contaminated with trophozoite and cysts.The trophozoites are neurotrophic - It ingests RBCs and brain tissue by phagocytosis - Production of amoebostome with cvtopathic enzymes - Acute hemorrhagic meningoencephalitis.Primary Amoebic MeningoencephalitisPAM mimics acute bacterial meningitisAbrupt in onset with acute fulminant courseCondition mostly fatal